Koenon's periungual fibroma is a feature of?
1. Kawasaki's disease
2. Refsum disease
3. Darrier's disease
4. Bourneville's disease

Correct answer: 4. Bourneville's disease

Explanation: Ans. is 'd' i.e., Bourneville's disease * Periungual fibromas (Koenon's tumor) are seen in 20% of patients of tuberous sclerosis.Tuberous sclerosis (Bournevifle's disease)* Tuberous sclerosis is characterized by : -A. Skin lesions: - Adenoma sebaceum (Facial angiofibroma), Ash-leaf shaped hypopigmented macules/patch, Shagreen patch (Yellow thickening of lumbosacral skin), depegmented nevi, Periungual fibromas (Koenen's tumor).B. Neurological: - Intellectual disability, Seizures, Hydrocephalus, Subependymal calcified nodules.C. Neoplasms: - Subependymal giant cell astrocytoma, ependymoma, rhabdomyomas of heart, angiomyomas of the kidney, liver, adrenal and pancreas.